% of children with simple febrile seizure developing epilepsy is -
1. 1-2%
2. 2-5 %
3. 5-10 %
4. 10-15%

Correct answer: 1. 1-2%

Explanation: Ans. is 'a' i.e., 1-2% o About 1-2% of children with simple febrile seizure and upto 5% of those with recurrent complex seizure are likely to develop in epilepsy.o Simple febrile seizure have following features -Rapidly rise in temp > 39degCGeneralised tonic- clonic typeLast rarely beyond 15 min.Brief postictal drowsinesso Atypical febrile seizure -Repeated seizureFocal seizureFocal findingo Treatment -Careful search of cause of feverReassurencsEducation of parentsActive Mx to control feverP/R diazepam or i/v diazepam or lorazepam when child had convulsion